Which of the following methods is most suited to assess function of a gene -a) Southern blotb) Nothern blotc) Gene knockout animalsd) Transgenic animals
1. ab
2. bc
3. cd
4. ad

Correct answer: 3. cd

Explanation: Transgenic mice and Knockout mice (animals) are specific genetic approaches to assess the function of gene.